A 10-year-old child with primary molars in various stages of exfoliation has a slight crowding in the lower anterior. The clinician should:
1. Observe him after 1 year
2. Obtain study casts and perform arch-length analysis
3. Observe him after 6 months
4. Delay the treatment until all permanent teeth erupt

Correct answer: 2. Obtain study casts and perform arch-length analysis